About Neurofibromatosis all is true except-
1. Autosomal recessive
2. Associated with cataract
3. Scoliosis
4. Multiple fibroma

Correct answer: 1. Autosomal recessive

Explanation: Neurofibromatosis comprises two distinct disorders -
Neurofibromatosis I
Neurofibromatosis II
The genes for these are located on different chromosomes.
Both are inherited in an autosomal dominant pattern.
The classical form of the disease with multiple neuromas is called Neurofibromatosis I and is caused by a mutation of the gene neurofibromin on chromosome 17.